Causes of postoperative sensitivity with amalgam restorations include all of the following except _____.
1. Lack of adequate condensation, especially lateral condensation in the proximal boxes.
2. Voids.
3. Extension onto the root surface.
4. Lack of dentinal sealing.

Correct answer: 3. Extension onto the root surface.

Explanation: The primary causes of postoperative sensitivity for amalgam restorations are voids (especially at the margins), poor condensation (that may result in a void), or inadequate dentinal sealing. Extension onto the root surface does not necessarily result in increased sensitivity.